Which of the following ovarian tumour is associated with Meig's syndrome :
1. Fibroma
2. Brenner's tumour
3. Serous cystadenoma
4. Sarcoma

Correct answer: 1. Fibroma

Explanation: Fibroma